The main cytokine, involved in erythema nodosum leprosum (ENL) reaction is-
1. lnterleukin - 2
2. Interferon - gamma
3. Tumor necrosis factor - alpha
4. Macrophage colony stimulating factor

Correct answer: 3. Tumor necrosis factor - alpha

Explanation: The main cytokines responsible for type 2 leprosy reactions are interleukin 1 and tumour necrosis factor alpha. iadvl textbook of dermatology, page 2049